A patient lalita present with dry mouth, pupillary dilation and warm skin, the likely drug toxicity is
1. Organo-phosphorus
2. Carbamazepine
3. Lithium
4. Amytriptyline

Correct answer: 4. Amytriptyline

Explanation: Ans. is 'd' i.e. Amitriptyline Most Tricyclic antidepressants (Imipramine, Amitriptyline) are potent anticholinergics.The symptoms shown by patient are because of anticholinergic effect of Amitriptyline.